All are true about permanent teeth, except:
1. Ridge is present between neck and body
2. Anterior teeth are inclined forward
3. Roots of molars are larger
4. They are ivory white in color

Correct answer: 1. Ridge is present between neck and body

Explanation: Ans. Ridge is present between neck and body